All are B cell marker except-
1. CD-15
2. CD-19
3. CD-21
4. CD-23

Correct answer: 1. CD-15

Explanation: Reference :Robbins basic pathology 9th edition pg no 117:Some are the signaling molecules attached to the BCR; another example is CD21 (also known as the type 2 complement receptor, or CR2), which recognizes a complement break- down product that frequently is deposited on microbes and promotes B cell responses to microbial antigens. Inter- estingly, the ubiquitous Epstein-Barr virus has cleverly evolved to use CD21 as a receptor for binding to B cells and infecting them.